Normal consistency of the gingiva is:
1. Soft
2. Hard
3. Firm
4. Firm and leathery

Correct answer: 3. Firm